An increase in kVp increases the :
1. Number of photons generated
2. Their mean energy
3. Their maximal energy
4. All of the above

Correct answer: 4. All of the above

Explanation: Increasing the kVp of an x-ray machine increases:

The number of photons generated.
The mean energy of the photons.
The maximal energy of the photons.

Ref:Ref: Oral Radiology, Principles and Interpretation / Stuart C. White, Michael J. Pharoah - 7th ed - pg - 10